Borrelia recurrentis in transmitted by
1. Mite
2. Louse
3. Tick
4. Mosquito

Correct answer: 2. Louse

Explanation: Louse-borne infections include: 1.Pediculosis 2.Epidemic typhus (Rickettsia prowazekii) 3.Relapsing fever (Borrelia recurrentis) 4.Trench fever (Rochlamia Quintana)